After death, Livor mortis is caused because of:
1. Muscle of the body began to relax
2. Muscle of the body began to stiffen
3. Discolouration as a result of capillo-venous distension in the dependent parts of the body
4. Putrefaction of the body tissues

Correct answer: 3. Discolouration as a result of capillo-venous distension in the dependent parts of the body

Explanation: Ans. C: Discolouration as a result of capillo-venous distension in the dependent parts of the body Postmortem lividity/hypostasis/livor mortis is a settling of the blood in the lower (dependent) portion of the body, causing a purplish red discoloration of the skin: when the heart is no longer agitating the blood, heavy red blood cells sink through the serum by action of gravity. This discoloration does not occur in the areas of the body that are in contact with the ground or another object, as the capillaries are compressed. Livor mortis is usually well developed within 4 hours after death and maximum lividity occurs within 6-12 hours.